Which of the following compares the prominence of the chin compared with the prominence of the lower incisors?
1. Steiners sticks
2. IMPA
3. Holdaway ratio
4. A-Pog line

Correct answer: 3. Holdaway ratio

Explanation: The prominence of the chin (pogonion) compared with the prominence of the lower incisor establishes the balance between them: the more prominent the chin, the more prominent the incisor can be, and vice versa. This important relationship is often referred to as the Holdaway ratio.
Ref: Contemporary orthodontics, William Proffit, 4th edition page 209